Glaucomflecken is -
1. Acute uvetis due to glaucoma
2. Lens opacity due to glaucoma
3. Retinal detachment due to glaucoma
4. Corneal opacity due to glaucoma

Correct answer: 2. Lens opacity due to glaucoma

Explanation: Glaucomflecken (anterior subcapsular lenticular opacity) Ref comprehensive ophthalamology AK Khurana 4th edition page no:230